Acetyl CoA is produced from various reactions in the body. Acetyl coA can be directly converted to all, EXCEPT:
1. Glucose
2. Fatty acids
3. Cholesterol
4. Ketone bodies

Correct answer: 1. Glucose

Explanation: Acetyl CoA is formed from glucose. Following are the fate of Acetyl CoA after its formation: Oxidation in TCA cycle to form CO2 AND H2O Cholesterol biosynthesis Ketogenesis Fatty acid synthesis Acetylation reactions (Detoxication) Formation of acetyl choline Melatonin synthesis Ref: Textbook of Medical Biochemistry By Chatterjea, 2011, Page 442.